Transport of glucose through apical membrane of enterocytes is -
1. Simple diffusion
2. Facilitated diffusion
3. Primary active transport
4. Secondary active transport

Correct answer: 4. Secondary active transport

Explanation: Ans. is 'd' i.e., Secondary active transport o Absorption of glucose-Secondary active transport (cotransport) with Na+.o Absorption of lipids-Passive diffusion.o Absorption of fructose-Facilitated diffusion.o Absorption of amino-acids-Secondary active transport (cotransport) with Na+.